Punishment of Perjury is given by:
1. 191 IPC
2. 193 IPC
3. 197 IPC
4. 198 IPC

Correct answer: 2. 193 IPC

Explanation: Ans. (B). 193 IPC(Ref: Essentials of Forensic medicine, Dr KS narayana Reddy, 33th Edition, P: 13)Sec 191 IPC Giving false evidence under oath (perjury definition)Sec 192 IPC Fabricating false evidenceSec 193 IPCQ Punishment for perjury (3-7 years)